Fifth generation cephalosporin ?
1. Cefepime
2. Ceftaroline
3. Cefpirome
4. Cefprozil

Correct answer: 2. Ceftaroline

Explanation: Ans. is'b'i.e., Ceftaroline